All of the following are predominant motor neuropathy except:
1. Acute inflammatory demyelinating polyradiculoneuropathy
2. Porphyric neuropathy
3. Lead intoxication
4. Arsenic intoxication

Correct answer: 4. Arsenic intoxication

Explanation: Ans. is 'd' i.e. Arsenic intoxication Arsenic poisoning causes mixed sensory motor neuropathy pure motor neuropathyDisorders which affect any level of the motor unit i.e. Anterior horn cell, motor axon or neuromuscular junction can result in purely lower motor syndrome without sensory disturbance Examples of Pure motor Neuropathy Amyotrophic lateral sclerosisPoliomyelitisHereditary spinal muscular atrophyAdult variant of hexosaminidase A deficiencyLead or dapsone intoxicationPorphyria (occasionally)Lambert Eaton myasthenic syndromeTick bite paralysisOther types of toxic neuromuscular blockade Some mixed motor sensory polyneuropathies have predominant motor symptoms and signs, examples are :Hereditary motor sensory neuropathyGuillain Barre syndrome (Acute inflammatory demyelinating polyradiculoneuropathy)* CIDP Also know,Pure sensory neuropathyToxins, drugsCisplatinPyridoxineTaxolSystemicParaneoplasticSjogren's syndromeDysproteinemiaIdiopathicAcute sensory neuropathyChronic ataxic neuropathyHereditary neuropathy